Premature filling of veins is a manifestation in cerebral angiography of:
1. Trauma
2. Brain tumor
3. Arteriovenous malformation
4. Arterial occlusion

Correct answer: 3. Arteriovenous malformation

Explanation: Diagnosis of AVM is made by conventional catheter cerebral angiography Diagnosis is based on demonstration of arteries and veins on the same conventional angiographic image, proving the high-flow shunting of blood (leading to early filling of veins) through the nidus network or fistulous vessels In the typical AVM, there is a cloudlike nidus, or network of smaller vessels, well seen on angiography Ref: Sabiston 20th edition Pgno: 1925